Arrow shift of the curve is not due to:
1. Increased hydrogen ions
2. Decreased carbon dioxide
3. Increased temperature
4. Increased BPG

Correct answer: 2. Decreased carbon dioxide

Explanation: Ans. (b) Decreased carbon dioxide(Ref: Ganong, 25th ed/p.640)In oxygen dissociation curve, right shift is favored by,AcidosisIncrease in, 3 DPGIncrease in PCO2 Increase in temperature